A 31-year-old male was brought to the emergency room by a colleague after having a seizure at work. The colleague reported that over last 6 months the man would frequently come late to office and was given warnings for the same reason.The colleague also stated that he would often come to office after consuming alcohol, was seen with clenched fists and grinding his teeth most of the time and was once caught by boss while he was using alcohol in office. Patients mother had expired two days back, and he was in his house for last two days and had just joined the office today. What is the likely diagnosis
1. Primary seizure disorder
2. Cerebral hemorrhage
3. Malingering
4. Alcohol withdrawal

Correct answer: 4. Alcohol withdrawal

Explanation: The most likely cause of the patient's symptoms 'i.e., seizures, clenched fists, tooth grinding is alcohol withdrawal. Its likely that patient had alcohol dependence syndrome and due to death of mother , patient abruptly stopped alcohol and developed withdrawal seizures. ALCOHOL WITHDRAWAL SEIZURES Seen after 24 to 48 h of last alcohol drink usually generalized and tonic-clonic type Usually patients have more than one seizures in a span of 3-6 h, hence often the termcluster seizures is used for alcohol withdrawal seizures